The virus which causes aplastic anemia in chronic hemolytic diseases is -
1. Adenovirus
2. Hepatitis virus
3. EB virus
4. Parvovirus

Correct answer: 4. Parvovirus

Explanation: Ans. is 'd' i.e., Parvo virus B-19 "Parvovirus B-19 induces aplastic crisis in children with chronic hemolytic anemias, as in sickle cell disease". Parvovirus . Non-enveloped DNA (ss DNA) viruses. . Only DNA virus which has single stranded DNA. . Smallest virus . Has smallest genome . Only one medically important human parvovirus - Parvovirus B 19 . Transmission is by respiratory route and through blood. . Infection is commonly acquired in childhood (5-10 yrs). . Most of the infections are asymptomatic. . Most common presentation is respiratory infection with an erythematous maculopapular rash and arthralgia - Erythema infectiosum or Fifth disease. . Starts with prominant erythema of cheeks --> slapped cheek disease. . Parvovirus B-19 induces aplastic crisis in children with chronic hemolytic anemias, as in sickle cell disease. . Parvovirus B-19 infection during second or third trimester of pregnancy may result in nonimmune fetal hydrops.